Pearson's formula is used for :
1. Cephalic index
2. Stature
3. Race
4. Age

Correct answer: 2. Stature

Explanation: B i.e. Stature